Surface area of tympanic membrance -
1. 55 mm2
2. 70 mm2
3. 80 mm2
4. 90 mm2

Correct answer: 4. 90 mm2